A girl child with verrucous lesions at an age of 2 weeks later on developed linear bands of hyperkeratotic papules and nodules followed by whorled pigmentation. Her mother had history of in utero child death and hypopigmented atrophic linear lesions. The diagnosis is
1. Neurofibromatosis
2. Xeroderma pirmentosa
3. Tuberous sclerosis
4. Incontinentia pigmenti

Correct answer: 4. Incontinentia pigmenti

Explanation: D. i.e. Incontinentia pigmenti